All of the following cranial nerves contains somatic efferents except-
1. 7th nerve
2. 12th nerve
3. 4th nerve
4. 6th nerve

Correct answer: 1. 7th nerve

Explanation: GSE(General somatic efferents ) SVE (Special visceral efferents) most of skeletal muscles except pharyngeal arch muscles eyeball : cranial nerves III, IV, VI tongue : cranial nerve XII most of pharyngeal arch muscles 1st arch- mandibular branch of 5th cranial nerve- muscles of mastication 2nd arch- cr. nerve VII- ms of facial expression 3rd, 4th, 6th arch- cr. nerve IX,X,XI and nucleus ambiguus- muscles of palate, pharynx, larynx of speech and swallowing. Thus cranial nerve III, IV VI contain somatic efferents and cranial nerve VII contains special visceral efferents.